Which is first rank symptom described by -
1. Echolalia
2. Thought insertion
3. Autism
4. Suicidal tendency

Correct answer: 2. Thought insertion